Which of the following correlates well with the "severe" type of bronchial asthma exacerbation:
1. Bradycardia with HR less than 100/ min
2. Pulsus paradoxus less than 10/min
3. Tachypnea with RR less than 30/min
4. Usual use of accessory muscles of respiration

Correct answer: 4. Usual use of accessory muscles of respiration

Explanation: Ans. D: Usual use of accessory muscles of respiration Bronchial asthma: Hyper-responsiveness of airways with bronchoconstriction Increased leukotrienes Histology: Creola bodies, - Charcot Layden crystals, - Curschmann's spiral FEV1 is the parameter to improve maximum on bronchodilator therapy